Loxoscelism is a condition caused by the bite of which of the following?
1. Brown recluse spider
2. Blister beetle
3. Rove beetle
4. Thunder fly

Correct answer: 1. Brown recluse spider

Explanation: Loxoscelism is caused by the bite of brown recluse spider/violin/fiddle back spider. Blister and rove beetles release vesicating fluid when it is crushed against skin resulting in acute irritant contact dermatitis. Ref: Rook's Textbook of Dermatology, 8th Edition, Page 38.26, 38.32.